True statement of Buerger's desease is/are -a) Small and medium sized vessels involvedb) Commonly involves upper limb than lower limbsc) Common in maled) Common in female
1. a
2. bc
3. ac
4. b

Correct answer: 3. ac

Explanation: Buerger's ds. may involve both upper or lower extremity. It is more common in lower limbs